Typically bilateral inferior subluxations of the lens is seen in –
1. Marfan's syndrome
2. Homocystinuria
3. Hyperinsulinemia
4. Ocular trauma

Correct answer: 2. Homocystinuria

Explanation: In Homocystinuria there is inferomedial (inferonasal) dislocation of lens.